Pneumatoceles often develop in children after pneumonia due to the following organism
1. Klebsiella
2. Streptococcus
3. Staphylococcus aureus
4. Haemophilus influenzae

Correct answer: 3. Staphylococcus aureus

Explanation: Radiological signs are extensive in a form of massive consolidation.E.coli,Klebsiella ,staphylococcus pneumonia have pneumatoceles. Ref : Essential pediatrics,O.P.Ghai,7 th edition,pgno:355